ECT is most useful in
1. Panic attack
2. Major depression
3. Schizophrenia
4. Manic depressive pyschosis

Correct answer: 2. Major depression

Explanation: (Major depression) (98- 213- NA 6th)* Panic disorders (discrete episodes of acute anxiety)* The drug of choice ofgenerilized anxiety disorders are benzodiazepines and for panic disorder (both benzodiazepines and anti depressants* Absolute indication of ECT is (1) major severe depression with suicidal risk (This is the first and most important indication for ECT) with stupur, poor intake of food and fluids, melancholia, psychotic features (2) severe catatonia (functional) (3) severe psychosis (SZP or mania)* The only absolute contraindication is the presence of raised intracranial tension* Bilateral ECT is more effective, but unilateral ECT causes less short term memory impairments